Varocay bodies are present in
1. Periapical granuloma
2. Multiple myeloma
3. Both
4. None

Correct answer: 4. None

Explanation: Verocay bodies

Present only In Schwannoma
Traumatic bone cyst (or) Haemorrhagic bone cyst lies above mandibular canal.